Classic triad of congenital rubella includes all except -
1. Cataract
2. Deafness
3. Retinitis
4. CHD

Correct answer: 3. Retinitis

Explanation: Cardiac defects, cataract, deafness constitute a classical triad REF:ANATHANARAYANAN MICROBIOLOGY NINTH EDITION PAGE.555